Personal history includes all except:
1. Occupational details
2. Sexual history
3. Academic details
4. Food preferences

Correct answer: 4. Food preferences

Explanation: Ans. D. Food preferencesPersonal history includes:* Birth and early development* Education* Occupational history* Substance use* Marital & sexual history (including menstrual history)